MRI utilizes -
1. Hydrogen atoms
2. X-rays
3. Helium ion
4. Radioactivity

Correct answer: 1. Hydrogen atoms

Explanation: Ans. is 'a' i.e., Hydrogen atoms o MRI is a technique that produces tomographic images by means of magnetic fields and radiofrequency waves.o It causes some alignment of the hydrogen atoms within the body along the magnetic field.o MRI is based on the ability of a small number of protons within the body to absorb and emit radio wave energy when the body is placed within a strong magnetic field.o MR scans are obtained by placing the patient in a static magnetic field of 0.02 to 4 tesla (T) Strength